Example of Type IV hypersensitivity is ?
1. Serum sickness
2. Granulomatous reaction
3. Schwazmann reaction
4. Arthus reaction

Correct answer: 2. Granulomatous reaction

Explanation: Ans. is 'b' i.e., Granulomatous reaction